Oogonia reach their maximum number at which of the following stages of human development:
1. 4th month
2. 5th month
3. 6th month
4. 7th month

Correct answer: 2. 5th month

Explanation: The Number of oogonia reaches its maximum at 20 weeks of intra uterine life 6-7 million. At birth 1-2 million At puberty 3-4 lac primary oocytes are left behind Total Utilized follicles during her entire reproductive period 38 *12=456 follicles